A 20 year old patient presented with unilateral proptosis which was compressible and increases on bending forward. No thrill or bruit was present. MRI shows a retro-orbital mass with enhancement Diagnosis is
1. AV malformations
2. Orbital encephalocele
3. Orbital Varix
4. Neurofibromatosis

Correct answer: 3. Orbital Varix